Which nerve is preserved in dissecting the superficial and deep lobes of parotid gland -
1. Glossopharyngeal
2. Hypoglossal
3. Lingual
4. Facial

Correct answer: 4. Facial

Explanation: Ans. is 'd' i.e., Facial o The facial nerve separates parotid gland into superficial and deep lobes.o Mandibular branch of facial nerve is most vulnerable to injury during parotid surgery.